McConnell's sign in echo-cardiography is seen in
1. MI
2. Pulmonary embolism
3. Sarcoidosis
4. HOCM

Correct answer: 2. Pulmonary embolism

Explanation: McConnell's sign is a distinct echocardiographic feature of acute massive pulmonary embolism. It is defined as a regional pattern of right ventricular dysfunction, with akinesia of the mid free wall and hyper contractility of the apical wall. Ref ganong's review of medical physiology 25e p753